Which of the following is not a feature of lateral cerebellar lesion?
1. Resting tremor
2. Dysarthria
3. Nystagmus
4. Loss of Co-ordination of movements

Correct answer: 1. Resting tremor

Explanation: Resting tremors are seen in Parkinsonism In cerebellar lesions intension tremors are seen. Tremors are rhythmic oscillatory movements of a body part. Reference: Harrison20th edition pg 2256